Fluconazole differs from ketoconazole in all the following except (REPEAT)
1. Route of administration
2. Metabolism inhibition
3. Anti androgenic side effects
4. Usage in candidiasis

Correct answer: 4. Usage in candidiasis

Explanation: Ketoconazole and fluconazole both are used in candidiasisRef: KDT 6/e p 762